Neck holding comes at what age?
1. 2 months
2. 3 months
3. 4 months
4. 5 months

Correct answer: 2. 3 months

Explanation: O.P. Ghai 7th ed, page7 Neck holding comes at 3 months.